A young patient with Schizophrenia is intolerant to antipsychotic medications. Which drug is most preferred?
1. Clozapine
2. Olanzapine
3. Risperidone
4. Haloperidol

Correct answer: 1. Clozapine

Explanation: In patients who are intolerant to the extrapyramidal side effects due to Anti-psychotics, Clozapine is the preferred antipsychotics as it has minimal extrapyramidal side effects. -Overall, the antipsychotic associated with minimum EPS: Clozapine -Amongst typical antipsychotics, thioridazine has minimum EPS.